Diagnostic serum markers in Down's syndrome are all except :
1. Free oestrid
2. Alpha feto protein
3. HCG
4. Progesterone

Correct answer: 4. Progesterone

Explanation: Progesterone